All of the following are associated with the gall stones except:
1. Acute pancreatitis
2. Acute cholecystitis
3. Acute appendicitis
4. Acute cholangitis

Correct answer: 3. Acute appendicitis

Explanation: Ans. C: Acute appendicitis Effects and complications of gall stones: In the gall bladder - Biliary colic - Acute cholecystitis Chronic cholecystitis - Empyema of gall bladder - Mucocele - Perforation In the bile ducts - Biliary obstruction - Acute cholangitis - Acute pancreatitis In the intestine - Intestinal obstruction (gallstone ileus) - Cancer of the gallbladder (rarely) - Jaundice - Pancreatitis